If one of your nerves is compressed and this leads to paraesthesia for some time, the type of nerve fiber affected is probable
1. A α
2. A δ
3. C
4. B

Correct answer: 1. A α

Explanation: The velocity of conduction through a nerve fiber is directly proportional to the thickness of the axon.
Thickest and fastest is A fibers. Among A fibers, the thickest is Aα. Hence the maximum affected by pressure will be Aα.